NOT a feature of hypothyroidism is ?
1. Short metacarpals in hands
2. Delayed puberty
3. Delayed bone age
4. Altered upper and lower segment ratio

Correct answer: 1. Short metacarpals in hands

Explanation: Ans. is 'a' i.e., Short metacarpal in hands Hypothyroidism o Hypothyroidism results from deficient production of thyroid hormone or a defect in thyroid hormone receptor activity. o Hypothyroidism may be : - i) Congenital --> Present since birth ii) Acquired --> Symptoms appear after a period of apparently normal thyroid function. Hypothyroidism causes - i) Delayed bone growth (Bone age markedly delayed) ii) Delayed puberty & Alteration in upper and lower segment ratio (upper segment > lower segment) Hypothyroidism o Hypothyroidism results from deficient production of thyroid hormone or a defect in thyroid hormone receptor activity. o Hypothyroidism may be : - i) Congenital --> Present since birth ii) Acquired --> Symptoms appear after a period of apparently normal thyroid function. Hypothyroidism causes - i) Delayed bone growth (Bone age markedly delayed) ii) Delayed puberty & Alteration in upper and lower segment ratio (upper segment > lower segment)